Heberden done denotes involvement of
1. Distal inetrphalangeal joint
2. Proximal interphalangel joint
3. Metacarpophalangeal joint
4. Metatarsophalangeal joint

Correct answer: 1. Distal inetrphalangeal joint

Explanation: In osteoarthritis of hand:Distal interphalangeal joint: Heberden's nodeProximal interphalangeal joint: Bouchard's node(Refer: Mohindra's Fundamentals of Orthopedics, 2nd edition, pg no. 88, 101, 127)